Most common orbital tumor in children –
1. Rhabdomyosarcoma
2. Retinoblastoma
3. Melanoma
4. Chloroma

Correct answer: 1. Rhabdomyosarcoma

Explanation: Most common malignant orbital tumor in children is rhabdomyosarcoma. It is seen in first decade of life.